Which respiratory center is responsible for initiation of rhythmic spontaneous respiration?
1. Pre Botzinger complex
2. Nucleus Tractus soliatrius
3. Pneumotaxic center
4. Apneustic

Correct answer: 1. Pre Botzinger complex

Explanation: The main components of the respiratory control pattern generator responsible for automatic respiration are located in the medulla. Rhythmic respiration is initiated by a small group of synaptically coupled pacemaker cells in the pre-Botzinger complex (pre-BOTC) on either side of the medulla between the nucleus ambiguus and the lateral reticular nucleus. These neurons discharge rhythmically, and they produce rhythmic discharges in phrenic motor neurons that are abolished by sections between the pre-Botzinger complex and these motor neurons. They also contact the hypoglossal nuclei, and the tongue is involved in the regulation of airway resistance.Ref: Ganong review of medical physiology 23rd edition Page no: 626